'Linnitis plastica' is seen in:
1. Gastric carcinoma
2. Gastric ulcer
3. Gastric lymphoma
4. Corrosive strictures

Correct answer: 1. Gastric carcinoma

Explanation: Ans. A i.e. Gastric carcinoma